At the time of Annual examination, a patient expresses concern over exposure to sexually transmitted diseases. During your pelvic examination, a singular, indurated, Nontender ulcer is noted on the vulva. VDRL and FTA tests are positive. Without treatment, the next stage of this disease is clinically characterized by:
1. Optic nerve atrophy and generalized paresis
2. Tabes dorsalis
3. Gummas
4. Macular rash over the hands and feet

Correct answer: 4. Macular rash over the hands and feet

Explanation: Diagnosis is Primary Syphilis and Next stage is Secondary syphilis Syphilis Etiology - Spirochete Treponema pallidum. Diagnosis is by dark-field microscopy Primary syphilis: A hard chancre ,painless ulcer with an indurated base on the vulva, vagina, or cervix. Secondary syphilis is due to hematogenous dissemination of the spirochetes. C/f- Red macules and papules over the palms of the hands and the soles of the feet. Tertiary syphilis include optic atrophy, tabes dorsalis, generalized paresis, aortic aneurysm, and gummas of the skin and bones.